Urease breath test is used for which organism:
1. Haemophilus influenza
2. Campylobacter jejuni
3. Helicobacter pylori
4. Ureoplasma urealyticum

Correct answer: 3. Helicobacter pylori

Explanation: Urease breath test is a type of rapid test to detect urease activity produced by H.pylori for presumptive identification of the organism. Urease breath test is the single best Non-Invasive test to detect H-pylori infection, Urease breath test is also the test of choice for assessement of success of Treatment (documenting eradication) The urea breath test is a rapid Non-invasive diagnostic procedure used to identify Helicobacter pylori infection The urease breath test is based upon H.pylori 'urease' activity to convert urea to ammonia and carbondioxide H.pylori possesses potent urease activity which yields ammonia and carbondioxide from urea. Urea that has been with radioactive carbon isotopes (C14 or C13) is administered orally to the patient. If the patient harbors H.pylori (Urease), the urea is broken down by the urease enzyme into ammonia and labelled CO2. Detection of labelled CO2 in the patient's breath confirms the diagnosis of H.pylori. Assessment of success of Treatment with eradication of H.pylori should be done atleast 4 weeks after completetion of anti H.pylori therapy. Non-invasive tests are typically preferred for assessment of eradication. The test of choice for documenting eradication is urease breath test. Urease breath test detects H.pylori infection by 'bacterial urease activity' and remains positive till the bacteria has not been eradicated with treatment. Thus urease breath test becomes negative only after eradication of oraganism following treatment and not with chronic infection. Ref: Ananthanarayan and paniker microbiology 10th edition Pgno: 407